The pattern for the metallic framework of a removable partial denture is fabricated from:
1. Inlay wax type-II
2. Boxing wax
3. Modeling wax
4. Casting wax

Correct answer: 4. Casting wax

Explanation: Dental waxes can also be classified in one of three types, pattern wax (inlay, casting, and baseplate types), processing wax (boxing, utility, and sticky types), and impression wax (bite registration and correction types). 
Casting wax is used for partial denture frameworks and other metal frameworks.
Ref: Phillip’s 12th edition page 195.